In Downs syndrome, the 2nd trimester quadruple test done at 14-20 weeks measure levels of all of the following, EXCEPT:
1. Alpha fetoprotein
2. HCG
3. Inhibin A
4. Progesterone

Correct answer: 4. Progesterone

Explanation: The triple test (14 -20 weeks) measures the following three levels in the maternal serum: Alpha-fetoprotein (AFP) Human chorionic gonadotropin (hCG) Unconjugated estriol (UE3) Quadruple test done (14-20 weeks) measures levels of: Alpha-fetoprotein (AFP) Human chorionic gonadotropin (hCG) Unconjugated estriol (UE3) Inhibin A